True about active immunity
1. Less effective
2. Can be given in immunodeficient state
3. Immunological memory present
4. No lag period

Correct answer: 3. Immunological memory present

Explanation: When B cells and T cells are activated by a pathogen, memory B-cells and T- cells develop, and the primary immune response results. Throughout the lifetime of an animal these memory cells will "remember" each specific pathogen encountered, and are able to mount a strong secondary response, if the pathogen is detected again. Ref: Ananthanarayan & Panikers textbook of microbiology 9th edition pg.no. : 81-84